Which of the following antihypertensive drug is not given in pregnancy
1. Enalapril
2. Alpha methyl dopa
3. LabetoLol
4. Nifedipine

Correct answer: 1. Enalapril

Explanation: ACE inhibitor like Enalapril is contraindicated in pregnancy. These are teratogenic drugs. Other drugs given in the option are safe in pregnancy Refer Goodman and Gilman p736